Jowar is Pellogerogenic due to excess of –
1. Leucine
2. Lysine
3. Tryptophan
4. Methionine

Correct answer: 1. Leucine